Which is not given in anaphylactic reaction?
1. Epinephrine
2. Anti-histamine
3. Blood transfusion
4. Beta-adrenergic agonists

Correct answer: 3. Blood transfusion